Tumours arising from all of thefollowing structures can induce papilloedema except:
1. Medulla oblongata
2. Cerebrum
3. Olfactory groove
4. Orbital surface of frontal lobe

Correct answer: 1. Medulla oblongata

Explanation: Ans. Medulla oblongata